In breast, Copper's ligament extends from subcutaneous tissue to
1. Pectoral muscle
2. Pectoral fascia
3. Alveoli
4. Montgomery tubercle

Correct answer: 2. Pectoral fascia

Explanation: B. i.e. Pectoral fascia Strands of fibrous tissue (forming the suspensory ligament of Cooper) connect the dermis of overlying skin to the ducts of breast (mammary gland) and pectoral fasciaQ. These support mammary gland lobule and help to maintain the protuberence of young breast. They also cause pitting of oedematons skin that results from malignant involvement of dermal lymphatics (peaud' orange) and dimpling of skin d/t fibrosis associated with certain breast carcinomas.The fibrous stroma forms septa known as suspensory ligaments of cooper, which anchor the dermis of skin and gland to superficial pectoral fasciaQSuperficial pectoral fascia has two layers;- Superficial layer - Camper's fascia which contain mammary gland and?- Deep layer scarpa's fascia upto which Cooper's ligament extend